Which one of the following drug may be used for prevention of relapse of P. vivax infection :
1. Chloroquine
2. Primaquine
3. Atovaquone
4. Tetracycline

Correct answer: 2. Primaquine